A 3 year old female child presented with skin papules. Which of the following is a marker of Langerhan's cell histiocytosis?
1. CD 1a
2. CD 3
3. CD 68
4. CD 57

Correct answer: 1. CD 1a

Explanation: . CD 1a